Class II antiarrhythmics are -
1. Na+ channel blocker
2. K+ Channel opner
3. Beta-blocker
4. Calcium channel blocker

Correct answer: 3. Beta-blocker

Explanation: Ans. is 'c' i.e., Beta blocker Vaughan - williams classificationClass I Class II Class III Class IVNa+ channel blockerb - blockerK+ channel blockerCalcium channel blockers